THEME AND FOCUS: METABOLISM OF NUCLEOTIDES Case Study: A 17- month- old girl suffered from recurring respiratory infections. Injection of Diphtheria-Pertussis-Tetanus (DPT) and Typhoid vaccine produced only a minimal response. The lysate of girl's erythrocytes were found to lack detectable adenosine deaminase activity. Her mother and father both showed approximately 50% of the normal red cell adenosine deaminase activity. Lead Question: Diagnose the disease.
1. SCID
2. Crushing Muscular Trauma
3. Lesch -Nyhan Syndrome
4. Hypokalemia

Correct answer: 1. SCID

Explanation: Severe combined immunodeficiency(SCID) Crushing Muscular Trauma Lesch-Nyhan syndrome ADA (Adenosine Deaminase) deficiency Muscle cell damage resulting from pressure or crushing. Deficiency of Hypoxanthine Guanine Phospho Ribosyl Transferase (HGPRT). Required for both B & T lymphocytes. Hyperuricemia Self -mutilation